Menieres disease is characterized by the triad of
1. Deafness, nystagmus, tremors
2. Deafness, vertigo, nystagmus
3. Deafness, tinnitus, vertigo
4. Deafness, tremors, tinnitus

Correct answer: 3. Deafness, tinnitus, vertigo

Explanation: Meniere's disease is a disorder of the inner ear that can affect hearing and balance to a varying degree. It is characterized by episodes of vertigo and tinnitus and progressive hearing loss, usually in one ear. It is caused by lymphatic channel dilation, affecting the drainage of endolymph.